Frozen section is/are used for all except
1. Enzyme
2. Intraop Histopathological examination
3. Fat
4. Acid fast bacilli

Correct answer: 4. Acid fast bacilli

Explanation: Frozen section Biopsy Biopsy technique in pathology laboratories for making urgent on-table diagnosis Frozen section biopsy is a procedure done in a pathological setup existing adjacent to the operation theatre Surgeons are the main users of this service Procedure An unfixed fresh tissue is frozen (using CO2 to - 25degC) and section are made and stained Uses of Frozen section Biopsy It is quick and surgeon can decide the further steps of procedure in the same sitting like nodal clearance /type of resection to be done During surgery after resection of the tumor to look for (on table) the clearance in margin and depth, also to study the lymph nodes for their positivity. Used for demonstration of certain constituents which are lost in processing with alcohol or xylene, eg: Fat, enzyme Ref: Bailey and love 25th edition Pgno : 169-170